Treatment of choice for Kawasaki Disease
1. Immunoglobulins
2. Corticosteroids
3. Azathioprine
4. Methotrexate

Correct answer: 1. Immunoglobulins

Explanation: Answer is A (Immunoglobulins) : The treatment of choice for Kawasaki disease is intravenous immunoglobulins